Incidence of undescended testis in term infants is:
1. <5%
2. <1%
3. 8%
4. 10%

Correct answer: 1. <5%

Explanation: The incidence of undescended testes is approximately 30% in preterm infants and 1 to 3% in term infants. Ref: Schwartz's principle of surgery 9th edition, chapter 39.